Gilbert syndrome - True is
1. Reduced activity of glucoronyl transferase
2. Causes indirect hyperbilirubinemia
3. Not required any treatment
4. All of the above

Correct answer: 4. All of the above

Explanation: Gilbert's disease : It is inherited as an autosomal dominant trait.The defect is in the uptake of bilirubin by liver.Bilirubin level is usually around 3mg/dl, and the patient is asymptomatic except for the presence of mild jaundice. Reduction of hepatic bilirubin glucoronidating activity to about 30% of normal levels.It is detected in the adult life,typically in association with stress,such as an intercurrent illness,strenous exercise,or fasting. Ref : ROBBINS AND COTRAN PATHOLOGIC BASIS OF DISEASES,7 TH EDITION,PG NO:888